Following represents fetal hypoxia except :
1. Excessive foetal movements
2. Meconium in vertex presentation
3. Fetal scalp blood pH > 7.3
4. Heart rate < 100

Correct answer: 3. Fetal scalp blood pH > 7.3

Explanation: Ans. is c i.e. Fetal Scalp pH > 7.3 Het. Normal fetal scalp pH ranges from 7.25 to 7.35. Fetal hypoxia is indicated by 'acidosis' or fall in fetal scalp pH to values below normal (Not by increase). It is used to corroborate the significance of fetal CTG (Cardiotocography) Interpretation of Fetal Scalp blood sampling PH Action > 7.25 Reassuring 7.20 - 7.25 Repeat in 30 min < 7.20 Immediate delivery Normal Pre-acidosis Acidosis When a pregnant woman has history of previous child with Down syndrome. It becomes important to know the type of chromosomal defect found in that particular child because the risk of occurrence in a future pregnancy will be different depending on the type of defect. I am summarizing below the risk of recurrence of Down syndrome in various conditions. Go through them Chromosome Constitution Risk of offspring Affected child Father Mother Trisomy 21 Normal Normal (Non Dysjunction * age < 30 years 2-3% Type) * age > 30 years - Mother age Trisomy 21 due to Unbalanced Normal Carrier 11.9% Translocation (viz 13/21. 14/21 Carrier Normal 2-3% 15/21, 22/21) Trisomy 21 due to Normal Carrier 100% balanced translocation (21/21) Carrier Normal 100% In the question, the child has balanced translocation (21/21) and her father is a balanced translocation carrier - The risk of recurrence in subsequent pregnancies is 100% (as is evident from the table). Remember A FUNDA - In balanced translocation (21/21), the risk of recurrence in subsequent pregnancy is 100deg/0 - regardless of the fact whether Mother/Father is a carrier.